Carisoprodol activation forms which of the following metabolites:
1. Amphetamine
2. Doxylamine
3. Dimethadione
4. Meprobamate

Correct answer: 4. Meprobamate

Explanation: Meprobamate